Laryngeal mask airway size 2 is recommended for –
1. < 6.5 kg
2. 6.5–20 kg
3. 20–30 kg
4. 30–50 kg

Correct answer: 2. 6.5–20 kg

Explanation: Size 2 LMA is used for infants & children weighing 10 - 20 kg.